Spherocytosis of RBC is a common feature in -
1. G6PD deficiency
2. Sickle cell anemia
3. CML
4. All

Correct answer: 1. G6PD deficiency